Which of the following is not evaluated using 99mm Tc- DMSA scintigraphy?
1. Renal anomalies
2. Renal pseudomass
3. Renal scarring
4. Renal artery stenosis

Correct answer: 4. Renal artery stenosis

Explanation: Ans DDMSA scan is used to study renal morphology thus out of given options only renal artery stenosis is not a renal morphological defect. Renal artery stenosis is studied by Captopril-DTPA scan